Who is the Founder of school of psychoanalysis and Psychotherapy is after the name of?
1. Bleuler
2. Freud
3. Kraeplin
4. Melanie Klien

Correct answer: 2. Freud

Explanation: Ans. b (Freud). (Ref. Psychiatry by Niraj Ahuja, 5th ed., 55, 210, 219)SIGMUND FREUDo 'Psychotherapy' is after his name.o Invention of 'psychoanalysis',o Described "Oedipus complex"Eugen bieulero Named schizophrenia o First introduced the term autism. o Coined the term ambivalenceKRAEPLINo Coined the term 'dementia precoxa'.ERIKSONo The eight-stage classification of human life.PSYCHOTHERAPHY# Psychotherapy is after the name of Freud.# Psychotherapy can be defined as the treatment by psychological means, of problem of an emotional nature in which a trained person (therapist) deliberately establishes a professional relationship with the patient to:# Remove, modify or retard existing symptoms.# Mediate disturbed patterns of behavior, &/or# Promote positive personality growth & development.# Psychotherapy can be done either by verbal or non-verbal means.Therapy/schoolProponentPsychoanalysisSigmund FreudAnalytical psychologyCarl Gustav JungTransactional analysisEric BerneClient-centered psychotherapyCarl r RogersHypnosisJames BraidGroup therapyJoseph PrattCognitive therapyAaron T BeckClassical conditioningIvan Petrovich PavlovOperant conditioningBurrhus Frederic SkinnerDual sex therapyWilliams mastersVirginia JohnsonPsychodramaJacob L MorenoCharacter analysisWilhelm Reich